The nerve supply of nail bed of index finger is ?
1. Superficial br of radial nerve
2. Deep br of radial nerve
3. Median nerve
4. Ulnar nerve

Correct answer: 3. Median nerve

Explanation: Ans. is 'c' i.e., Median nerve